Gerlach tonsil is:
1. Palatine tonsil
2. Lingual tonsil
3. Tubal tonsil
4. Nasopharyngeal tonsil

Correct answer: 3. Tubal tonsil

Explanation: Gerlach tonsil is the lymphoid collection at the pharyngeal opening of auditory tube (tubal tonsils).